A 7 year old girl is brought with complaints of generalized swelling of the body. Urinary examination reveals grade 3 proteinuria and the presence of hyaline and fatty casts. She has no history of hematuria. Which of the following statements about her condition is true
1. No igG deposits or C3 deposition on renal biopsy
2. C3 level will be low
3. igA nephropathy is the likely diagnosis
4. Alport's syndrome is the likely diagnosis

Correct answer: 1. No igG deposits or C3 deposition on renal biopsy

Explanation: IgA nephropathy , also known as Berger's disease, is a kidney disease that occurs when an antibody called immunoglobulin A(IgA) builds up in your kidneys. This results in local inflammation that, over time, can hamper your kidneys' ability to filter waste from your blood. Berger's disease is a kidney related disorder which occurs due to accumulation of antibody IgA in the kidneys. This accumulation leads to kidney damage that inturn leads to decrease in the efficiency of functioning of kidney ultimately causing renal failure. Hence, it is also called as IgA nephropathy. Symptoms: There may not be any symptoms in early stage and may go unnoticed for a long period of time. In severe conditions change in colour of urine or visible blood in the urine, pain in the back below the ribs, foam in the urine, hypertension, swelling of hands and feet may be observed. Reference: GHAI Essential pediatrics, 8th edition